Most common symptom in ectopic pregnancy -
1. Abdominal pain
2. Bleeding per vagina
3. Amenorrhoea
4. Fainting attacks

Correct answer: 1. Abdominal pain

Explanation: Ans. is 'a' i.e., Abdominal pain "Classical traid of symptoms of disturbed tubal pregnancy are :- Abdominal pain (100%), preceeded by amenorrhoea (75%) and lastly vaginal bleeding (70%)"Clinical features of acute ectopic pregnancySymptomsAbdominal pain is the most constant feature. It is acute, agonising or colicky. Located in lower abdomen, may be unilateral, bilateral or generalized.Shoulder tip pain (25%preferred pain d/t diaphragmatic irritation by haemoperitoneum) may be presentAmenorrhoea of short period (6-8 weeks )usually. Sometimes may be absentVaginal bleeding may be slight and continuous.Vomiting and fainting attacks syncopal attack is due to reflex vasomotor disturbance following peritoneum irritation by haemoperitoneum.SignsGeneral look is diagnostic. Patient lies quite and conscious, perspires and looks blanchedPallor is severe and proportionate to amount of internal bleedingShock rapid and feeble pulse, hypotension, cold and clammy extremities.Abdominal examination lower abdomen is tense and tender. Shifting dullness present and muscle guard is absent.Pelvic examination is may precipitate more bleeding due to manipulation.